All of the following statements are true for 'Intestinal Motility' except
1. Does not depend on Gastric motility
2. Increased by Distension
3. Increased by Acetylcholine
4. Increased by cholecystokinin

Correct answer: 1. Does not depend on Gastric motility

Explanation: Migrating Motor Complex(MMC) is the name given to the peristaltic wave that begins in the oesophagus & travels through the entire GIT during the inter-digestive period. The coordinated peristaltic activity is dependent on the integrity of enteric nerve plexus.The usual stimulus for peristalsis is distension. This response to stretch is called myenteric reflex. Activity of myenteric plexus from a stimulus point travels in either direction to activate neurons that release Ach. Certain hormones like CCK enhance intestinal motility. Ref: Medical Physiology, Indu Khurana